Linitis plastica is a type of :
1. Gastric ulcer
2. Ca stomach
3. Duodenal ulcer
4. None of the above

Correct answer: 2. Ca stomach

Explanation: Linitis plastica is a subtype of gastric cancer that is characterized by diffuse infiltrating adenocarcinoma without obvious caers and ulcers. It is thought to originate from parietal cell portion of gastric mucosa. Because of its diffuse nature ,this form of gastric cancer ususally involves the whole stomach. Ref : Clinical Scenarios in Surgical Oncology edited by Vijay P. Khatri